"Primary Amebic Meningoencephalitis" is caused by:
1. Naeglaria
2. Giardia
3. Actinomyces
4. Anthrax

Correct answer: 1. Naeglaria

Explanation: Naeglaria